Dehydration in an alert child with diarrhea, no thirst and less than 50ml/kg of estimated fluid deficit- the following term is used for classification -
1. No dehydration
2. Moderate
3. Severe
4. None

Correct answer: 1. No dehydration

Explanation: Ans- A.No dehydration